Most common cause of Acquired Complete Heart Block in children is
1. Cardiac Surgery
2. Acute Rheumatic Fever
3. Drug overdose
4. Myocarditis

Correct answer: 1. Cardiac Surgery

Explanation: Ans. is 'a' i.e., Cardiac Surgery Post surgical third degree A-V block resulting from trauma to the A-V node at operation is the most common cause of acquired A-V block in children